Suckling mice is used for isolation of -
1. Coxsackie virus
2. Pox virus
3. Herpes
4. Adenovirus

Correct answer: 1. Coxsackie virus

Explanation: It is necessary to employ suckling mice for the isolation of coxsackievirus. REF:ANANTHANARAYAN AND PANIKER'S TEXTBOOK OF MICROBIOLOGY 9TH EDITION PAGE NO:491